Brucellosis can be transmitted by all of the following modes, except:
1. Contact with infected placenta
2. Ingestion of raw vegetables from infected farms
3. Person to person transmission
4. Inhalation of infected dust or aerosol

Correct answer: 3. Person to person transmission

Explanation: Ans. is 'c' i.e., Person to person transmission(Ref: Harrison, 19th/e, p. 1066 and Ananthanarayan, 9th/e, p. 339)Transmission - Contact with infected animals (Camel, sheep, goat, pigs) - Placenta, urine, milk and other discharges. Inhalation of infected dust or aerosols. Contaminated food products and ingestion of raw vegetables form infected farms.People at risk - Farmers, shepherds, goatherd, butters and abattoir workers. Man to man transmission does not occur.